Savita is 35 years female with Gravida-2 and parity 1+0 is suffering from hepatic encephalopathy. Likely cause will be -
1. Hepatitis B
2. Hepatitis E
3. Hepatitis D
4. Hepatitis A

Correct answer: 2. Hepatitis E

Explanation: Ans. is 'b' i.e. Hepatitis E (Ref. Dutta, 6/e, p 292 (5/e, p. 308), Robbins illustrated, 6/e, p. 862).Hepatitis E infection has a benign course in normal individuals just like hepatitis A but once it infects a pregnant female it shows its ugly face. It then causes fulminant hepatitis in a large % of pregnant females leading to hepatic coma and death.